Excess Aldosterone is associated with all the following except-
1. Hypokalemia
2. Hyperkalemia
3. Sodium retention
4. Hypertension

Correct answer: 2. Hyperkalemia

Explanation: hypokalemia due to excessive potassium depletion in body ( Harrison 17 pg 2260)